The cyst is `deroofed' and the surrounding periosteum
sutured to the margins of the cyst wall in
1. Decortication
2. Marsupialisation
3. Saucerization
4. Enucleation

Correct answer: 2. Marsupialisation